A baby presenting with multiple deformities, cleft lip, cleft palate, microcephaly, small eyes, scalp defect and polydactyly. The baby is suffering from which syndrome?
1. Trisomy 13
2. Trisomy 18
3. Trisomy 21
4. Monosomy 2

Correct answer: 1. Trisomy 13

Explanation: Trisomy 13 (Patau syndrome) symptoms: Microphthalmia Microcephaly and intellectual disability Polydactyly Cleft lip and palate Renal defects (IMG: showing cleft lip, Polydactyly, Microphthalmia or no eyes.)